Exudative plaques in the form of or "pseudomembranes" are due to:
1. Esch coli
2. Clostridium difficile
3. Salmonella
4. Campylobacter jejuni

Correct answer: 2. Clostridium difficile

Explanation: Clostridium difficile